All the following cycles operate in mitochondria except
1. Ketogenesis
2. Beta oxidation
3. TCA cycle
4. EMP

Correct answer: 4. EMP

Explanation: Ans. is 'd' i.e., EMPRepeat from previous sessions. See explanation-2 of sessions-6.This was the session in which many questions of biochemistry were repeated from previous sessions.